Behcet’s syndrome is characterized by:
1. Recurrent oral aphthous and genital ulcers
2. Eye and Skin lesions
3. All of the above
4. None of the above

Correct answer: 3. All of the above